Mechanism of action of acetazolamide is:-
1. Inhibition of aldosterone
2. Stimulation of aldosterone
3. Inhibition of carbonic anhydrase
4. Stimulation of carbonic anhydrase

Correct answer: 3. Inhibition of carbonic anhydrase

Explanation: Name Site of action Site of action Mechanism Loop diuretics Thick ascending limb of Loop of Henle Furosemide Torsemide Na-K-2Cl symporter inhibition Carbonic anhydrase inhibitors PCT Acetazolamide Dorzolamide Brinzolamide Carbonic anhydrase inhibition Thiazides DCT Hydrochlorthiazide Chlorthalidone Na-Cl symporter inhibition Osmotic diuretics Non-specific Mannitol By osmotic effect Epithelial sodium channel blockers Collecting duct Amiloride Triamterene eNa channel blockade Aldosterone antagonists Collecting duct Spironolactone Epleronone Antagonism of aldosterone receptors